Patient complains of intermittent dysphagia which is equal both for solids and liquids, which of the following is the most probable diagnosis?
1. Achalasia cardia
2. Esophageal stricture
3. Carcinoma esophagus
4. Diffuse esophageal spasm

Correct answer: 4. Diffuse esophageal spasm

Explanation: Ans. is 'd' i.e., Diffuse esophageal spasm * From the given causes of dysphagia, intermittent dysphagia is seen only in diffuse esophageal spasm.Intermittent dysphagia is seen inProgressive dsyphagia is seen in* Diffuse esophageal spasm* Pharyngeal diverticulum* Schatzki ring* Esophagitis* Carcinoma esophagus* Stricture* Achalasia cardiaAlso know* Dysphagia more for solids than liquids implies mechanical obstruction (Ca, stricture, webs)* Dyspahgia equal for solids & liquids from the very onset suggest motor disorders# Achalasia# Diffuse esophageal spasm